Swine flu is known as
1. H5N1
2. H1N1
3. H1N5
4. H1N2

Correct answer: 2. H1N1

Explanation: Ans: b) HIN1A simple one. Swine flu is also known as H1N1.